Normal weight of infant at 1 year from birth is:
1. Doubled
2. Trippled
3. Quadrupled
4. Variable increase

Correct answer: 2. Trippled

Explanation: Ans. B: Trippled Normal Weight Increases: Weight doubles by 6 months of age Weight triples by 1 year of age Weight quadruples by 2 years of age Annual increase (Ages 2-9): 2.0 kg/year